Which of the following patient has the highest suicide risk:
1. A 60 year old male, who recently lost his wife and lives alone
2. A 42 year old female, who lives with family
3. A 42 year old female, who is single and lives alone
4. A 22 year old male, who is single

Correct answer: 1. A 60 year old male, who recently lost his wife and lives alone

Explanation: Risk factors for suicide Sex: Males have higher suicide risks than females. Age: Old age is a risk factor for suicide. Poor social support is a risk factor.